The tertiary structure of protein is detected by:
1. X- ray diffraction / crystallographs.
2. Spectrophotometry
3. Electrophoresis.
4. Chromatography.

Correct answer: 1. X- ray diffraction / crystallographs.

Explanation: High performance (pressure) liquid chromatography (HPLC) is a modern refinement of column chromatography and is used for protein separation, purification and identification. It can not determine protein structure.Electrophoresis separates (& purifies) proteins based on migration of charged proteins in an electric field. It can not determine protein structure.Higher level (2deg, 3deg & 4deg) of protein structure is studied by X-ray crystallography, NMR sepectroscopy, infrared and ultraviolet spectroscopy.